How to increase reabsorption of iso-osmolar fluid from glomerular filterate?
1. Increased peritubular capillary pressure
2. Decreased osmotic pressure in peritubular capillaries
3. Increased corticomedullary osmotic gradient
4. Increased filtered load

Correct answer: 4. Increased filtered load

Explanation: Ans. is 'd' i.e., Increased filtered load(Ref: Principles of medical physiology p.786]Glomerulotubular balance refers to the fact that the total rate of reabsorption increases as the filtered load increases, even though the percentage of GFR reabsorbed in the proximal tubules remains relatively constant about 65%